60 year old person presents with history of angina and shortness of breath for the past week. Blood withdrawn shows thick brownish red color. Diagnosis?
1. Sickle cell anemia,
2. Hemolytic anemia
3. Meth-hemoglobinaemia
4. G-6-P-deficiency

Correct answer: 3. Meth-hemoglobinaemia

Explanation: Ans. (c) Meth-hemoglobinaemiaRef.: Harrison 19th ed. / 636* Sickle cell anemia has a pediatric presentation.* Hemolytic anemia will cause pallor and not brown discoloration of blood.* In G6PD in event of intravascular hemolysis the hemoglobinuria will cause a black urine. Therefore by exclusion also the answer is meth-hemoglobinaemia.